Intermediate host for Taenia saginata is:
1. Man
2. Cattle
3. Pig
4. Fish

Correct answer: 2. Cattle

Explanation: HOST: A person or other animal, including birds and arthropods that affords subsistence or lodgement to an infectious agent under natural (as opposed to experiemental) condition. Primary Host(definitive): Host in which parasite attains maturity or passes its sexual stage. Secondary (intermediate) Host: Host in which parasite is in larval or asexual stage. Disease Parasite Primary host Secondary host Malaria Plasmodium Anopheles Man Tapeworm Taenia solium Man Pigs Tapeworm Taenia saginata Man Cattle Guinea Worm Dracunculus medinensis Man Cyclops Filariasis Wuchereria bancrofti Man Culex Hydatid Disease Echinococcus Dog Sheep, Cattle, Man Sleeping sickness Trypanosomes Man Tse Tse fly TAPE WORMS Tapeworm Causative organism Pork Tapeworm Taenia solium Beef Tapeworm Taenia saginata Fish Tapeworm Diphyllobothrium latum Dwarf tapeworm(Rat tapeworm) Hymenolepsis nana TAENIASIS: Taeniasis are called as 'Cyclozomes': Require more than one Vertebrate host species (but no invertebrate host) to complete their developmental cycles T.solium and T.saginata may persisit for several years in infected humans (small intestines) Mode of transmission Ingestion of infective cysticerci in undercooked beef (T.saginata) or Pork (T.solium) Ingestion of food, water or vegetables contaminated with eggs Reinfection by reperistalsis of eggs (bowel to stomach) IP: 8-14 weeks Most serious risk of T.solium infection: Cysticercosis Treatment: Praziquantel and niclosamide DOC: Cysticercosis: Albendazole Most effective method to prevent food borne infections: cooking of beef and pork Ref: Park 25th edition Pgno: 319